When sexual gratification is obtained by a women from another woman, what is it called
1. Tribadism
2. Bestiality
3. Voyeurism
4. Bondage

Correct answer: 1. Tribadism

Explanation: This sexual perversion is called lesbianism or Tribadism or Sapphism.